What is the most common complication of malaria in children?
1. Cerebral malaria
2. Respiratory distress
3. Severe malarial anaemia
4. Hypoglycemia

Correct answer: 3. Severe malarial anaemia